All are true regarding Prostaglandins except:
1. LT cause vasoconstriction and decreased vascular permeability
2. 20 carbon unsaturated fats
3. Prostacyclin inhibits platelet aggregation
4. Prostaglandins cause uterine muscle contraction & induce labor

Correct answer: 1. LT cause vasoconstriction and decreased vascular permeability

Explanation: Ans-ARef: Harpers illustrated Biochemistry,28th editionExplanation:Synthesis from arachidonate (See figure on the next page)FUNCTIONSProstacyclin (PGI2)Inhibit platelet aggregationVasodilatationPGF:Uterine muscle contractionInduce laborBronchoconstrictorPGE:BronchodilatorCauses inflammationThromboxaneSynthesis: plateletFunction: platelet aggregationAspirin - Inhibits TXA2 - | Platelet aggregationAspirin is used in the treatment of myocardial infarctionLeukotrienesThe site of synthesis: leukocytes, platelets, macrophagesSlow reacting substance (SRS-A)Leukotrienes-C, D, EFunctions: InflammationVasoconstrictionBronchoconstriction